The Ig found in exocrine secretions is:
1. IgG
2. IgD
3. IgM
4. IgA

Correct answer: 4. IgA